Multi organ failure is defined as failure of minimum how many organs ?
1. 2
2. 3
3. 4
4. 5

Correct answer: 1. 2

Explanation: Answer- A. 2Multi organ failure (MOF) or multi organ failure syndrome (MOFS) or multi organ dysfunction syndrome (MODS) is defined as progressive dysfunction of two or more major organ systems in a critically ill patient that makes it impossible to maintain homeostasis without medical intervention and that is typically a complication of sepsis and is a major factor in predicting mortality.